Coxsackie virus can be isolated by inoculating into:
1. Rabbit
2. Guinea pig
3. Suckling mice
4. Foot pad of mice

Correct answer: 3. Suckling mice

Explanation: Coxsackie virus is isolated from the lesion or from the feces, made by inoculation into suckling mice. Identification is by studying the histopathology in infected mice and by neutralization tests. Serodiagnosis is not as possible. Ref: Textbook of microbiology, Anathanaraya and Panicker's, 8th Edition, Page 489